An endodontically treated tooth was restored with a cast post-and-core and a metal-ceramic crown. Three months later, the patient complains of pain, especially on biting. Radiographic findings and tooth mobility tests are normal. The most probable cause of pain is _____.
1. A loose crown
2. Psychosomatic
3. A vertical root fracture
4. A premature eccentric contact

Correct answer: 3. A vertical root fracture

Explanation: Usually, vertical fractures will refer pain when biting. In this case, the patient had recent endodontic treatment and there is no periapical lesion to indicate that is due to inadequate root canal therapy. There is no sign that the crown is loose, no premature contact, and no mobility